All of the following are Fluent Aphasia's Except:
1. Anomie Aphasia
2. Wernicke's Aphasia
3. Conduction Aphasia
4. Broca's Aphasia

Correct answer: 4. Broca's Aphasia

Explanation: Answer is D (Broca's Aphasia): Neurologic Differential Diagnosis: A Case-Based Approach (Cambridge University Press, 2014)/ 36 Broca's Aphasia is a Non-Fluent Expressive (Motor) Aphasia with preserved comprehension and impaired repetition. Non-Fluent Aphasias Global Broca's Mixed Transcortical Transcortical Motor Fluent Aphasias Anomie Wernicke's Conduction Transcortical Sensory